Which of the following is a minor criteria for diagnosis of Rheumatic fever (RF) according to modified Jones criteria -
1. ASO titre
2. Past history of Rheumatic fever
3. Fever
4. Subcutaneous nodules

Correct answer: 3. Fever

Explanation: Ans. is 'c' i.e., Fever Fever is a minor criteria